Fertilization takes place in which part of fallopian tube
1. Interstitial part
2. Ampulla
3. Isthmus
4. Fimbria

Correct answer: 2. Ampulla

Explanation: The capacitated spermatozoon and the oocyte meet and interact in the ampulla of the fallopian tube.Ref: Ganong's review of medical physiology; 24th edition; page no: 413